A person has poor performance in front of his seniors in public place, he has tachycardia when he has to deliver a lecture, avoids going to parties the diagnosis is :
1. Panic disorder
2. Social phobia
3. Schizophrenia
4. Avoidant personality

Correct answer: 2. Social phobia

Explanation: Ans. is 'b' Social phobia Social Phobia is characterized by irrational fear of performing activities in presence of other people or interacting with other, the pt. is afraid of his actions being viewed by others critically resulting in embarrassment.Avoidant Personality Disorder :It is very difficult to distinguish b/w Avoidant personality disorder & Social phobia because people with Avoidant personality disorder often have social phobia as well.An avoidant personality disorder is shy, has few friends, mostly spends his time alone, does not participate in any social activity. He may have social phobia as well.But a social phobic guy (as the pt in question) is socially normal, has friends spends his time cheerfully until he is faced with a situation where he has to speak infront of an audience.In avoidant personality disorder there is a persistent feeling of tension and apprehension.